Regarding Schatzki's ring the true statement is:
1. Has skeletal muscle
2. Located at upper esophagus
3. Located at lower esophagus
4. Contain all layers of esophagus

Correct answer: 3. Located at lower esophagus

Explanation: Schatzki's ring is a lower esophageal mucosal ring May result from GERD Asymptomatic 10% Cause dysphagia Ref: Bailey & Love, 25th Edition, Pages 1041